In acute inflammation the tissue response consists of all except:
1. Vasodilatation
2. Exudation
3. Neutrophilic response
4. Granuloma formation

Correct answer: 4. Granuloma formation

Explanation: Granuloma formation is a systemic response to contain a foreign agent that is difficult to eradicate. It is a form of chronic inflammation